Kelly's plication operation is done in
1. Stress incontinence
2. Vault prolapse
3. Rectal prolapse
4. Uterine prolapse

Correct answer: 1. Stress incontinence

Explanation: Stress Incontinence Management Surgical: Kelly's repair : Plication of bladder neck Pacey's repair : apposing medial fibres of the puborectalis muscles in the midline under the bladder neck region to elevate the same Both may be combined with anterior colporrhaphy Ref: SHAW'S TEXTBOOK OF GYNAECOLOGY;15th edition; Pg no:193